Which of the following anti–arrhythmic agents does not belong to class Ic ?
1. Tocainide
2. Encainide
3. Flecainide
4. Propafenone

Correct answer: 1. Tocainide